C-reactive protein is synthesized exclusively in:
1. Kidney
2. Pancreas
3. Liver
4. Thymus

Correct answer: 3. Liver